Not true about sudden infant death syndrome ?
1. Occurs in male child
2. Allergy to animal milk
3. Seen in premature babies
4. Cause is prolonged breast feeding

Correct answer: 4. Cause is prolonged breast feeding

Explanation: Ans. is 'd' i.e., Cause is prolonged breast feeding Sudden infant death syndrome (SIDs) o SIDS is defined as the sudden death of an infant that is unexpected by history and unexplained by a through postmortem examination. o Most cases of are between 1 month to 1 year. o Incidence is higher in winter months. Suspected causes of SIDS o Airway obstruction and laryngeal spasm. o Anaphylactic shock due to cow's milk allergy. o Infection such as clostridium botulinum. o Chronic hypoxia due to prolonged apenic episode.